Low levels of dopamine produced by the hypothalamus is a pathologic condition associated with which of the blood hormone levels.
1. High prolactin (PRL)
2. High TSH
3. High cortisol
4. Low growth hormone (GH)

Correct answer: 1. High prolactin (PRL)

Explanation: Tyrosine, produced by the hydroxylation of the essential amino acid phenylalanine, is further hydroxylated to form dihydroxyphenylalanine (dopa), which is subsequently decarboxylated to form dopamine.Dopamine is an inhibitor of prolactin production and secretion. Thus, if dopamine is low, more prolactin will be produced and secreted by the anterior pituitary.